Glucagon acts via
1. cAMP
2. cGMP
3. Cytoplasmic Ca+
4. Intracellular K+

Correct answer: 1. cAMP

Explanation: Ans. (a) cAMP* G-protein receptor for glucagon is Gs which acts via| Adenylyl cyclase causing |cAMP.G Proteins and Their Receptors and EffectorsG ProteinReceptors for:Effector/ Signaling PathwayGt1, Gt2Photons (rhodopsin and color opsins in retinal rod and cone cells)|cGMP phosphodiesterase- |cGMP (phototransduction)G5b-Adrenergic amines, glucagon, histamine, serotonin, and many other hormones|Adenylyl cyclase- |campGi1' Gi2' Gi3a2-Adrenergic amines, acetylcholine (muscarinic), opioids, serotonin, and many othersSeveral, including:| Adenylyl cyclase - |cAMPOpen cardiac K+ channels- | heart rateG5b-Adrenergic amines, glucagon, histamine, serotonin, and many other hormones|Adenylyl cyclase-- |cAMPGolfOdorants (olfactory epithelium)|Adenylyl cyclase- |cAMPGqAcetylcholine (muscarinic), bombesin, serotonin (5-HT1C), and many others|Phospholipase C- |IP3, diacylglycerol, cytoplasmic Ca2+